In osteoporosis, bone formation is increased by which drug -
1. Bisphosphonates
2. Estrogen
3. Calcitonin
4. Teriparatide

Correct answer: 4. Teriparatide

Explanation: Ans. is 'opl' i.e Teriparatide Drug used in osteoporosis Inhibit resorption Bisphosphonates, donesumab, cinacalcet, calcitonin, estrogen, SERMS, gallium nitrate. Stimulate formation :-Teriparatide, calcium, calcitriol, fluorides. Both actions Strontium renelate.